Which complement component is involved in both classical and alternative pathways
1. C1
2. C2
3. C3
4. C4

Correct answer: 3. C3